Coiled spring appearance on barium enema is seen in:
1. Carcinoma colon
2. Sigmoid volvulus
3. Intussusception
4. Deal atresia

Correct answer: 3. Intussusception

Explanation: Ans. Intussusception